Following is not a part of ortolani test -
1. Examiners thumb rests on the medial thigh
2. Examiners fingers li on the greater trochanter
3. Hips are flexed to 90 degrees and gently abducted
4. Jerk is given to the knee to dislocate the femur head - jerk of exit

Correct answer: 4. Jerk is given to the knee to dislocate the femur head - jerk of exit

Explanation: Ans. is 'd' i.e., Jerk is given to the knee to dislocate the femur head - jerk of exit * In Ortolani's test, the baby's thighs are held with the thumbs medially on thigh and the fingers resting on the greater trochanters; the hips are flexed to 90 degrees and gently abducted. Normally there is smooth abduction to almost 90 degrees.# In congenital dislocation the movement is usually impeded, but if pressure is applied to the greater trochanter there is a soft 'clunk' as the dislocation reduces, and then the hip abducts fully (the 'jerk of entry').# If abduction stops halfway and there is no jerk of entry, there may be an irreducible dislocation.